Genus neisseria is -
1. Gram positive diplococci
2. Gram negative diplococci
3. Gram negative coccobacilli
4. Gram positive bacilli

Correct answer: 2. Gram negative diplococci

Explanation: Ans. is 'b' i.e., Gram negative diplococci o The genus Neisseria consists of Gram negative aerobic nonsporulating, non motile oxidase positive cocci typically arranged in pairs (diplococci).o Two important pathogens are -N. meningitidisN. gonorrhoeae